TB infects which cell
1. Macrophage
2. Lymphocyte
3. Neutrophils
4. Eosinophils

Correct answer: 1. Macrophage

Explanation: Ans. (a) Macrophage(Ref: Robbins 9th/pg 375; 8th/pg 370)Mycobacterium tuberculosisenters into macrophages with the help of mannose binding lectin Q and CR3. QMacrophages Q are the primary cells infected by M. tuberculosis